Not a feature of acute arterial Occlusion ?
1. Cyanosis
2. Pallor
3. Paralysis
4. Paraesthesia

Correct answer: 1. Cyanosis

Explanation: Ans is 'a' ie Cyanosis